Diazoxiben is a:
1. Lipoxygenase inhibitor
2. Prostacyclin synthetase inhibitor
3. Cycloxygenase inhibitor
4. TXA2 inhibitor

Correct answer: 4. TXA2 inhibitor

Explanation: dRef: KDT, 4th ed, p. 613